Eye involvement is seen in:
1. Seropositive polyarticular JRA late onset
2. Seronegative pauciarticular IRA late onset
3. Seronegative polyarticular JRA early onset
4. Seronegative pauciarticular JRA early onset

Correct answer: 4. Seronegative pauciarticular JRA early onset

Explanation: Ans. Seronegative pauciarticular JRA early onset